Osteoarthritis does not involve which of the following joints?
1. Hip joint
2. DIP
3. Ankle joint
4. Cervical region

Correct answer: 3. Ankle joint

Explanation: Osteoarthritis predominantly involves the weight-bearing joints, including the knees, hips, cervical and lumbosacral spine, and feet. Other commonly affected joints include the distal interphalangeal (DIP) and proximal interphalangeal (PIP) joints of the hands. Osteoarthritis rarely affects the elbow, wrist or ankle joints.